Warthin Finkeldey giant cells
1. CMV
2. NIHL
3. Measles
4. Giant cell tumour of tendon sheath

Correct answer: 3. Measles

Explanation: (C) Measles[?]MEASLES:oGiant multinucleate cell found in hyperplastic lymph nodes early in the course of measlesoNecrosis of the Respiratory tract epithelium with lymphocytic infiltrateoSmall vessel vasculitis on the skin and oral mucosaoHistological Findings: Two types of Multinucleated giant cells in both epidermis & oral epithelium by 7-11 days.1. Warthin Finkeldey cells of reticuloendothelial system2. Epithelial giant cells of respiratory & other epithelia.-Rash reveals intracellular edema and dyskeratosis-Epidermal syncytial giant cells with up to 26 nuclei-Lymphoid hyperplasia-Fusion of infected cells - multinucleated giant cells-Warthin-Finkeldey giant cells: Pathognomonic for measles, up to 100 nuclei-Also with HIV-infected individuals and Kimura disease-Rarely in neoplastic (e.g. lymphoma) & non-neoplastic lymph node disorders.OTHER GIANT CELLS AT A GLANCE![?]Classification based on functional characteristics:oDamaged striated muscle fibres-Regenerating sacrolemmal cells in damaged voluntary muscle.-Aschoff giant cells in heart muscle (fused myocardial macrophages).oFused fibroblasts (as in giant cell fibroma)oThe osteoclastoTumor giant cells-Reed-stern berg cells in Hodgkin's lymphomas-Giant cells in central giant cell granuloma-Giant cells in other tumors E.g. CarcinomaoFused cells due to viral infections.-Epithelial giant cells as in HSV infection.-Connective tissue cells as in Measles (Warthin Finkeldey cells).oFused macrophages-Due to reaction to foreign bodies (exogenous or endogenous materials) e.g. foreign body giant cell with scattered nuclei-Due to reaction to organism as in tuberculosis (Langhans' giant cell) and fungal infections-Touton giant cells of xanthoma.oGiant Cells In Inflammation:-Foreign Body giant cells (b) Langhan's giant cells (c) Touton giant cells (d) Aschoff giant cellsoGiant Cells In Tumor:-Tumor giant cells (b) Reed-Stern berg cells (c) Giant cell tumor of bone[?]Other Classification:oMicrobial Lesions: a. Tuberculosis (b) Leprosy (c) Actinomycosis (d) SarcoidosisoTumor & Tumor Like Lesions:-Central giant cell granuloma (b) Peripheral giant cell garnuloma (c) Giant cell fibroma (d) Giant cell tumor (e) Osteo- sarcomaa (f) Rhabdomyosarcoma (g) Hodgkin's lymphomaoCystic Lesions: a) Traumatic bone cyst (b) Aneurysmal bone cystoMetabolic Lesions: a) HyperparathyrpoidismoOsteodystrophic Lesions: a) Noonan like multiple giant cell lesion syndromeoMiscellaneous Lesions: a) Cherubism (b) Paget's disease (c) Fibrous dysplasia